All of the following statement are true regarding Q fever except -
1. It is zoonotic disease
2. Human disease is characterized by an interstitial pneumonia
3. No rash is seen
4. Weil-felix reaction is very useful for diagnosis

Correct answer: 4. Weil-felix reaction is very useful for diagnosis

Explanation: Q fever:- Highly infectious zoonotic disease with world wide distribution. Occurs mainly in persons associated with sheep, goat ,cattle etc. Causative agent-Coxiella burnetti. It is found in ticks which act as vectors as well as reservoirs. Animal host- cattle,sheep, goat, ticks etc. The placenta of infected cows and sheep contain infectious agent which may create infectious aerosols during parturition. Mode of transmission:- No arthropod involved in transmission. Inhalation of infected dust from soil previously contaminated by urine/feces of diseased animals. The organism can also be transmitted through aerosols. Also gain entry through abrasions,conjunctivae or ingestion of contaminated foods. Incubation period-2-3 weeks. Clinical features-fever chills, general malaise and headache. The clinical picture is one of influenza/ non bacterial pneumonia. No rash / local lesions. The infection can cause pneumonia, encephalitis, endocarditis. Treatment- doxycycline (18 months) Pasteurisation/ boiling of milk. Adequate disinfection and disposal of products. Inactivated Coxiella vaccine has been prepared to protect occuppationally exposed workers. {Reference: park's textbook of preventive and social medicine, 23rd edition, pg no.301}